Tetracycline stains appear as:
1. Yellow and brown stains in enamel and dentin
2. Yellow and brown stains only in enamel
3. Yellow and brown stains only in dentin
4. Only yellow stain in enamel

Correct answer: 1. Yellow and brown stains in enamel and dentin